SnRNA mutation is associated with which syndrome?
1. Turner syndrome
2. Prader Willi syndrome
3. Klinefelter syndrome
4. Patau syndrome

Correct answer: 2. Prader Willi syndrome

Explanation: Ans. is 'b' i.e., Prader Willi syndrome o The syndrome has been linked to the deletion of a region of paternal chromosome 15 that is not expressed on the maternal chromosome (Genomic impmting). This region includes a brain-specific snRNA that targets the serotonin- 2C receptor mRNA.